Auditory screening is required in children under following conditions -
1. Before doing exchage transfusion for hyperbilirubinemia
2. In premature babies
3. Before starting aminoglycoside therapy
4. All

Correct answer: 4. All

Explanation: Ans. is 'a' i.e., Before doing exchange transfusion for hyperbilirubinemia, 'b' In premature babies,`c' i.e., Before starting aminoglycoside therapy o All neonates with risk factor for hearing loss must be screened with an auditory brainsteam response (ABR) or otoacoustic emissions (OAE) test to exclude hearing impairment. Indications for Auditory screening ? Family history or hereditary childhood SNHL. In utero infections - Toxoplasmosis, Rubella, CMV, herpes, syphilis. Craniofacial anomaly-morphological abnormalities of the pinna and ear canal. Birth weight less than 1500 gm. Hyperbilirubinemia at a serum level requiring exchange transfusion. Ototoxic drugs aminoglycosides, loop diuretics Bacterial meningitis Apgar score 0 to 4 at 1 min or 0 to 6 at 5 min. Mechanical ventilation lasting more than 3 days. Stigmata associated with a syndrome known to include hearing loss.